HHV-6B causes -
1. Carcinoma cervix
2. Carcinoma endometrium
3. Clear cell carcinoma
4. Focal encephalitis

Correct answer: 4. Focal encephalitis

Explanation: HHV 6B is the cause of mild but common childhood illness exanthem subitum. In older age groups ,it has been associated with infectious mononucleosis syndrome,focal encephalitis and in the immunodeficient,with pneumonia and disseminated disease. REF:ANATHANARAYAN AND PANIKER'S TEXTBOOK OF MICROBIOLOGY 8TH EDITION PAGE NO:477